Acute phase reactants are all except ?
1. C-reactive protein
2. Haptaglobulin
3. Endothelin
4. Fibrinogen

Correct answer: 3. Endothelin

Explanation: Ans. is 'c' i.e., Endothelin